The following are used for treatment of postoperative nausea and vomiting following squint surgery in children except –
1. Ketamine
2. Ondansetron
3. Propofol
4. Dexamethasone

Correct answer: 1. Ketamine